Risk period for maximum fetal damage by congenital rubella ?
1. First trimester of pregnancy
2. Second trimester of pregnancy
3. Third trimester of pregnancy
4. Risk is same throughout the pregnancy

Correct answer: 1. First trimester of pregnancy

Explanation: Ans. is 'a' i.e., First trimester of pregnancy In general, the earlier in pregnancy infection occurs, the greater the damage to the fetus. Maximum damage to the fetus occurs when infection is acquired in the first trimester of pregnancy.